Recently a new oral drug is approved for treatment of multiple myeloma. It acts as a selective inhibitor of nuclear export. Which drug is it ?
1. SELINEXOR
2. POLATUZUMAB
3. ZANUBRUTINIB
4. FEDRATINIB

Correct answer: 1. SELINEXOR

Explanation: SELINEXOR : - It is an oral selective inhibitor of nuclear export (SINE) compound. - It works by binding to Nuclear export protein (Exportin 1) and inhibiting the transport of several proteins (involved in cancer cell growth) from nucleus to cytoplasm. This results in accumulation of tumor suppressor proteins in the cell nucleus. This will reinitiate and amplifies tumor suppressor function and leads to selective induction of apoptosis in cancer cells. - Used for multiple myeloma and Diffuse large B cell lymphoma. POLATUZUMAB : - Antibody targeting the CD 79 B component of the B cell receptor. - Used for relapsed or refractory diffuse large B cell lymphoma. ZANUBRUTINIB : - It is a Bruton tyrosine kinase inhibitor like ibrutinib - Used for Mantle cell lymphoma. FEDRATINIB : - It is a oral JAK 2 inhibitor - Used for MYELOFIBROSIS.